HLA complex in humans is located on?
1. Long arm of chromosome 6
2. Short arm of chromosome 6
3. Short arm of chromosome 8
4. Long arm of chromosome 8

Correct answer: 2. Short arm of chromosome 6

Explanation: Ans. b (Short arm of chromosome 6). (Ref Harrison's medicine 16th ed. 1930)MAJOR HISTOCOMPATIBILITY COMPLEX (MHC)# MHC is a gene cluster of various loci grouped together on a single locus.# The MHC of humans, or the HLA complex, is located on the short arm of chromosome 6 approximately 32 CM from the centromere.# The loci of the HLA complex may be divided into three classes: Class I, Class II, and Class III.# The products of Class I and Class II genes play an important role in the communication between cells. These MHC molecules are surface proteins which present antigenic peptides to T lymphocytes.